Which of the following amino acids is most likely to be located in the interior of a soluble protein molecule, not in contact with water molecules of the solvent?
1. Aspartic acid
2. Arginine
3. Lysine
4. Valine

Correct answer: 4. Valine

Explanation: As a general rule, amino acids with nonpolar side chains tend to be located in the interior of soluble protein molecules. These nonpolar side chains can participate in hydrophobic interactions. Of the amino acids listed, valine is the only one with a nonpolar side chain. Aspartic acid has an acidic side chain, arginine and lysine have basic side chains, and serine has an uncharged polar side chain.